Not a constituent of air -
1. H2
2. N2
3. O2
4. CO2

Correct answer: 1. H2

Explanation: Air is a mechanical mixture of gases. It constitutes nitrogen 78.1%, oxygen 20.93%, carbon dioxide0.03%, argon, neon, krypton, xenon and helium. In addition to these gases, air also contains water vapour, traces of ammonia and suspended matter. Park's Textbook of Preventive and Social Medicine, 25th edition, Page No.791